Which of the following is a recurrent indication for cesarean delivery?
1. Breech presentation
2. Placenta previa
3. Pelvic deformity
4. Fetal distress

Correct answer: 3. Pelvic deformity

Explanation: The pelvic deformity is a recurrent indication for cesarean section(Ref: William's Obstetrics; 25th edition)